All the following are angiogenic factors EXCEPT
1. VEGF
2. PDGF
3. IFN
4. TGF 13

Correct answer: 3. IFN

Explanation: IFN REF: Wintrobe's Clinical Hematology 11th ed Table 22.1 "IFN-a, -II; IL-4, -12, -18 are inhibitors of angiogenesis" ACTIVATORS OF ANGIOGENESIS: Activators Function VEGF, VEGF-C, P1GF, and homologs Stimulate angiogenesis, permeability; stimulate lymphangiogenesis, pathologic angiogenesis. VEGFR VEGFR-2: angiogenic signaling; VEGFR-3: (lymph) angiogenic signaling. Angl and Tie2 receptor Angl: stabilizes vessels, inhibits permeability. Platelet-derived growth factor-BB and receptors Recruit smooth muscle cells. TGF-8 1, endoglin, TGF-S receptors Stabilize vessels by stimulating ECM production. Fibroblast growth factor, hepatocyte growth factor, monocyte chemotactic protein-1 Stimulate angiogenesis, stimulate arteriogenesis. Integrins a VS 3, aVS 5 MMP receptors. VE-cadherin, platelet-EC adhesion molecule EC junctional molecules, promote EC survival. Ephrins Regulate arterial/venous specifications. Plasminogen activators, MMPs Cell migration and matrix remodeling; liberate bFGF/VEFG from ECM; activate TGF-S 1; generate angiostatin. Plasminogen activator inhibitor-1 Stabilizes nascent vessels (prevents ECM dissolution) Nitric oxide synthase, cyclooxygenase-2 Nitric oxide/prostaglandins stimulate angiogenesis and vasodilation. AC133 Angioblast differentiation. INHIBITORS OF ANGIOGENESIS: Inhibitors Function VEGFR-1, soluble VEGFR-1, and NP-1 Sink for VEGF, VEGF-B, PIGF (VEGFR-1), and VEGFR 165 (NP-1) Ang2 Angl antagonist; induces vessel regression in absence of angiogenic signals TSP-1 ECM proteins; inhibits EC migration, growth, and adhesion Inhibits angiogenesis TSP-2 Meth-1, Meth-2 Contain metalloprotease, thrombospondin, and disintegrin domains Angiostatin and related plasminogen kringles Inhibit EC survival and migration Endostatin Inhibits EC survival and migration Vasostatin, calreticulin Inhibit EC growth Platelet factor-4 Heparin-binding molecule; inhibits binding of bFGF and VEGF Tissue inhibitors of metalloproteinases, MMP inhibitors Suppress pathologic angiogenesis Proteolytic fragment of MMP Inhibits binding of MMP2 to a VS 3 IFN-a, -B; IL-4, -12, -18 Inhibit EC migration, IFN-a down--regulates bFGF Prothrombin kringle 2 antithrombin fragment Suppresses EC growth Prolactin fragment; secreted protein (acidic and rich in cysteine) fragment Inhibits bFGF and VEGF; inhibits EC binding and activity of VEGF (NOTE: Ang, angiopoietin; bFGF, b-fibroblast growth factor; EC, endothelial cells; ECM, extracellular matrix; IFN, interferon; IL, interleukin; Meth, metalloproteinase and thrombospondin; MMP, matrix metalloproteinase; NP, neuropilin; P1GF, placental growth factor; TGF, transforming growth factor; TSP, thrombospondin; VEGF, vascular endothelial growth factor; VEGFR, vascular endothelial growth factor receptor)